Antibody found in patients with myasthenia gravis is directed against
1. Acetylcholine
2. Acetylcholine receptor
3. Acetylcholine vesicles in nerve terminals
4. Actin myosin complex of the muscle

Correct answer: 2. Acetylcholine receptor

Explanation: Ref Robbins 9/e p195 Myasthenia gravis Acetylcholine receptor Antibody inhibits acetylcholine binding, downmodulates receptors Muscle weakness, paralysis